True about ulcerative colitis, all except
1. Rectum involved
2. Pseudopolyps
3. Pancolitis
4. Noncaseating granuloma

Correct answer: 4. Noncaseating granuloma

Explanation: Ulcerative colitis always involves the rectum and extends proximally in a continuous fashion to involve all or part of the colon. Skip lesions are not seen. Disease of the entire colon is termed pancolitis. Isolated islands of regenerating mucosa often bulge into the lumen to create small elevations, termed pseudopolyps. Granulomas are not present. REF: ROBBINS BASIC PATHOLOGY, 9TH EDITION. PAGE 590. IMAGE REF: ROBBINS BASIC PATHOLOGY, 9TH EDITION, FIG.14-30, PAGE 591